Mechanism of action of paclitaxel is ?
1. Topoisomerase inhibition
2. Increase the polymerization of tubulin
3. Inhibition of protein synthesis
4. Alkylation of DNA

Correct answer: 2. Increase the polymerization of tubulin

Explanation: Ans. is 'b' i.e., Increase the polymerization of tubulin Taxanes Paclitaxel and docetaxel function as a mitotic spindle poison through high affinity binding to microtubules with enhancement of tubulin polymerization. The microtubules are stabilized and their depolymerization is prevented - inhibition of mitosis and cell division. Paclitaxel is metabolized in liver and undergoes enterohepatic circulation - dose should be reduced in liver dysfunction. Paclitaxel can cause hypersensivity reaction which does not occur with a novel albumin-bound paclitaxel preparation. Paclitaxel and docetaxel both can cause bone marrow depression & peripheral neuropathy.